Gastrinoma a/w
1. Diarrhoea
2. Constipation
3. Achlorhydria
4. Multiple superficial gastric ulcers

Correct answer: 1. Diarrhoea

Explanation: Diarrhoea is due to hypergastrinaemia.It is associated with severe ulcers,not superficial SRB's manual of surgery,5th edition,710.